An ICU patient on atracurium infusion develops seizures after 2 days. The most probable cause is -
1. Accumulation of landonosine
2. Allergy to drug
3. Due to prolong infusion
4. All the above

Correct answer: 1. Accumulation of landonosine